Glycolysis occurs in
1. Cytosol
2. Mitochondria
3. Nucleus
4. Lysosome

Correct answer: 1. Cytosol

Explanation: Ans. is 'a' i.e. Cytosol Reactions/PathwaysSiteGlycolysisCytosolKreb's cycleMitochondriaElectron transport chainMitochondriaHMP shuntCytosolFatty acid synthesisCytosolFatty acid oxidationMitochondriaOxidation of very long chain fatty acidsPeroxisomesGlycogenesisCytosolGlycogenolysisCytosolGluconeogenesisBoth cytosol & mitochondriaUrea cycleBoth cytosol & mitochondria